Chassar Moir technique is used in:
1. VVF
2. Stress incontinence
3. Urethrocoele
4. Enterocoele

Correct answer: 1. VVF

Explanation: Techniques for repairing VVF:

Layer Technique
Latzko procedure (for fistulas following hysterectomy)
Chassar moir technique